Success of reimplanted avulsed tooth depends on:
1. Proper antibiotic coverage
2. Prevention of dehydration of PD ligament of avulsed tooth
3. Protection of socket
4. All of the above

Correct answer: 4. All of the above